Which of the following is not true about cataract surgery rate?
1. Cataract surgery rate is defined as total number of cataract surgeries performed per million population
2. A target cataract surgery rate of 3000 per million
3. Cataract surgery- rate is a true rate
4. It is an indicator success of blindness control programme

Correct answer: 3. Cataract surgery- rate is a true rate

Explanation: Ans. c. Cataract surgery rate is a true rate (Ref: www.ncbI.nlm.nih.gov/pmc/articles/PMC2612994/'Current status of cataract blindness and Vision 2020: The right to sight initiative in India ' Murthy. Sanjeev K Gupta et al)'CSR is defined as (Total number of cataract surgeries performed/Total population) x 1,000,000''Conventionally, a rate as defined in epidemiology has a numerator which is related to and derived from the denominator and has a specific time dimension (such as one year). As against 'rates', CSR is a proportion, where the numerator may not be derived from the denominator.''Cataract surgical rate is a quantifiable measure of the delivery of cataract services in a country. It is thus a good indicator of how well a country is organizing its efforts in tackling cataract-related blindness,'A CSR of 3000 was targeted under Vision 2020: the right to sight, for India, by the year 2000. Current trends show that this target has been achieved, but still there are regional disparities across the country.Cataract Surgical Rate (CSR)CSR is defined as '(Total number of cataract surgeries performed / Total population) x 1,000,000'Conventionally, a rate as defined in epidemiology has a numerator which is related to and derived from the denominator and has a specific time dimensionQ (such as one year).As against 'rates'. CSR is a proportion, where the numerator may not be derived from the denominatorQ.Cataract surgical rate is a quantifiable measure of the delivery of cataract services in a country. It is thus a good indicator of how well a country is organizing its efforts in tackling cataract-related blindnessQ.There has been a substantial increase in CSR in India especially after the inception of the World Bank-supported Cataract Blindness Control Project.A CSR of 3000 was targeted under Vision 2020Q: the right to sight, for India, by the year 2000. Current trends show that this target has been achieved, but still there are regional disparities across the country.